The couinaud's segmental nomenclature is based on the position of the
1. Hepatic veins and portal vein
2. Hepatic veins and biliary ducts
3. Portal vein and biliary ducts
4. Portal vein and hepatic artery

Correct answer: 1. Hepatic veins and portal vein

Explanation: Functional anatomy of the liver is based on couinaud's division of liver into eight (subsequently nine) functional segments, based upon the distribution of portal venous branches and location of hepatic veins in the parenchyma Couinaud 1957